Case control studies are also called:
1. Retrospective
2. Prospective
3. Prevalence
4. Incidence

Correct answer: 1. Retrospective